Longest acting beta blokeris ?
1. Nodalol
2. Esmolol
3. Carvedilol
4. Acebnolol

Correct answer: 1. Nodalol

Explanation: Ans. is 'a' i.e., Nodalol Nodalol is longest acting b-blocker. Esmolol is shortest acting b-blocker. Remember Nodalol is longest acting P-blocker. Esmolol is shortest acting n-blocker Acebutolol possesses all activities i.e., cardioselectivity, partial agonist activity, membrane stablizing activity and lipid insolubility. Beta blockers approved for treatment of CHF : Carvedilol (most widely used), metaprolol, bisoprolol. Carvedilol is a 13/ + 132 + al adrenoreceptor blocker with a : i3 blocking property of I : 9. It produces peripheral vasodilatation due to a-1 blockade as well as calcium channel blockade (direct effect). Atenolol, sotalol and nodalol are primarily excreted by kidney - should not be given in renal failure. Sotalol, penbutolol and pindolol have almost 100% bioavailibility. Penbutolol has maximum oral absorption. Carvedilol has maximum plasma protein binding. Celiprolol has minimum plasma protein binding.